Neuromuscular blocker does not produce all except:-
1. Amnesia
2. Analgesia
3. Relaxation
4. Narcosis

Correct answer: 3. Relaxation

Explanation: Neuromuscular blocker acts on neuromuscular junction not on central nervous system thus it will not produce loss of conciousness , amnesia , loss of reflex response and analgesia Only muscle relaxation is contributed by neuromuscular blocker.